Meralgia paresthesia is an entrapment neuropathy of the
1. Ilioinguinal nerve
2. Lateral popliteal nerve
3. Musculocutaneous nerve
4. Lateral cutaneous nerve of thigh

Correct answer: 4. Lateral cutaneous nerve of thigh

Explanation: (D) Lateral cutaneous nerve of thigh NERVE PALSIESNerve palsiesNerves involved* Bell's palsyLower motor neurone paralysis of facial nerve* Saturday nightRadial nerve palsy* Wrist dropRadial nerve* Foot dropDeep peroneal nerve* Erb's palsyLesion of upper trunk policeman's tip of brachial plexus hand deformity (C5, C6)* Klumpke'sLesion of lower trunk paralysis of brachial plexus (c8,t1)* ClawUlnar nerve deformity* Ape thumbMedian nerve deformity* Carpal tunnelMedian nerve at syndrome wrist* Tarsal tunnelPosterior tibial nerve syndrome at ankle* EpicondylarUlnar nerve at elbow tunnel syndrome* Meralgia parastheticaLateral cutaneous nerve of thigh* Horner's syndromeCervical sympathetic